Intracellular sorting and packing done for:
1. ER
2. Golgi apparatus
3. Ribosome
4. Cytoplasm

Correct answer: 2. Golgi apparatus

Explanation: B i.e. Golgi apparatus